When a diagnostic test is used in series mode then-
1. Sensitivity increases but the specificity decreases
2. Specificity increases bu the sensitivity decreases
3. Both sensitivity and specificity increases
4. Both sensitivity and specificity decreases

Correct answer: 2. Specificity increases bu the sensitivity decreases

Explanation: Ref:Parks 23rd edition pg 137 When used in series: Sensitivity decreases Specificity increases PPV increases NPV decreases When used in parallel : Sensitivity increases Specificity decreases PPV decreases NPV increases